A patient who has undergone partial gastrectomy presents with neurological symptoms. Most probable diagnosis
1. Folic acid deficiency
2. Thiamine deficiency
3. Vitamin B 12 deficiency
4. Iron deficiency

Correct answer: 3. Vitamin B 12 deficiency

Explanation: In case of patients undergoing partial gastrectomy, postoperatively supplemented with vitamin B12 to avoid associated deficiency manifestations due to loss of gastric mucosa. Ref: SRB's manual of surgery,3 rd ed, pg no 757